Code of conduct means
1. Rules to enter the name into register
2. Rules to medical institutions
3. General guidelines for doctors for things that they should not do in their professional career
4. Guidelines to improve the standard of medical education

Correct answer: 3. General guidelines for doctors for things that they should not do in their professional career

Explanation: Warning notice (Code of conduct) It is the general guide line for doctors for things that they should not do in their professional career. The council from time to time issue a list of unethical practices that a medical professional should not do and if otherwise, will amount to serious professional misconduct. This is called warning notice. Ref: FORENSIC MEDICINE AND TOXICOLOGY Dr PC IGNATIUS THIRD EDITION PAGE 374